A child presented with a history of unilateral purulent nasal discharge with occasional bloody discharge from the same side, The diagnosis is?
1. Antrochoanal polyp
2. Foreign body
3. Angiofibroma
4. Rhinosporidiosis

Correct answer: 2. Foreign body

Explanation: In case of foreign body in the nasal cavity, the child presents with unilateral nasal discharge which is often foul smelling and occasionally bloodstained. It is a dictum that "if a child presents with unilateral, foul-smelling, nasal discharge, the foreign body must be excluded. If it is radiopaque,a radiograph of the nose is useful to confirm Ref: Dhingra 7e pg 181.